Which of the following statements is TRUE regarding termination of action of a drug?
1. Drugs must be excreted from the body to terminate their action
2. Metabolism of drugs always abolishes their pharmacologic activity
3. Hepatic metabolism and renal excretion are the two most important mechanisms involved
4. Distribution of a drug out of blood stream terminates the drug's effects

Correct answer: 3. Hepatic metabolism and renal excretion are the two most important mechanisms involved

Explanation: * Action of a drug can be terminated either by hepatic metabolism or by renal excretion. Other pathways like excretion in sweat or saliva plays minor roles. * Most of the drugs are inactivated by metabolism. However, some drugs may be activated from inactive form (prodrugs) and others may produce active metabolites. * Some drugs may act away from blood e.g. digoxin leaves bloodstream and enters the heart to produce its action.